Most common site of intra peritoneal abscess?
1. Morrison's pouch
2. Omental bursa
3. Pelvic region
4. Left subhepatic pouch

Correct answer: 3. Pelvic region

Explanation: Pelvic abscess is the most common intraoeritoneal abscess(50-60%).Causes include- appendicitis,pelvic infections,sequelae of diffuse peritonitis,post operative and other abdominal causes.Organisms include Bacteroides fragilis,E.coli,anaerobic streptococci. Reference :SRB's manual of surgery,5th edition,page no:574.